Which graph shows continuous frequency distribution -
1. Bardagram
2. Pie chart
3. Histogram
4. Scatter diagrom

Correct answer: 3. Histogram

Explanation: Ans. is 'c' i.e., Histogram Histogram* It is graphic display of tubulated frequencies shown as bar."Histogram is a representation of a frequency distribution by means of bars whose width represent class and whose areas are proportional to corresponding frequencies"* In other words, Histogram shows the numbers of cases per unit interval so that the height of each bar is equal to the proportion of total people in the survey who fall in the category. The area under curve represents the total number of cases.* The categories (bars) are usually specified as non-overlapping intervals of some variable.* Categories (bars) must be adjucent.* Intervals are generally of the same size.* For example, the data set of blood cholesterol level of a group (mg/dl) ^ 3, 11, 12, 19, 22, 23, 24, 25, 27, 29, 35, 36, 37, 45, 49.* Information in this data set can be divided into interval & frequencies.InvervalWidthQuantity (frequencies)0-1010110-2010320-3010630-4010440-50102* Histogram will be :